The beneficial effect of drug neostigmine in the treatment of Myasthenia gravis is due to the action
1. It produces more acetylcholine
2. It inhibits the action of cholinesterase
3. It produces more acetylcholine receptors
4. It increases the action of cholinesterase

Correct answer: 2. It inhibits the action of cholinesterase